Impaired insight is found in:
1. Traumatic psychosis
2. Obsessive compulsive neurosis
3. Anxiety neurosis
4. All

Correct answer: 1. Traumatic psychosis

Explanation: A i.e. Traumatic psychosis